Earliest system to be function in fetus is ?
1. CNS
2. GIT
3. Circulatory
4. Genitourinary

Correct answer: 3. Circulatory

Explanation: Ans. is 'c' i.e., Circulatory Fetal period extends from the beginning of 3rd month to the end of intrauterine life (till birth). It is the period of maturation of tissues and organ and rapid growth of body occurs. By the end of organogenesis (end of embryonic period) most of the organ systems are developed, however, the function of most of them is negligible except cardiovascular system (cardiovascular system is first to function).